Musculocutaneous nerve pierces which one of the following muscle?
1. Brachialis
2. Corachobrachialis
3. Biceps muscle
4. Brachioradialis

Correct answer: 2. Corachobrachialis

Explanation: The musculocutaneous nerve supplies the biceps brachi, brachialis & coracobrachialis. It pierces the coracobrachialis, lies between the biceps & brachialis & continues laterally as the lateral cutaneous nerve of the forearm. It supplies the skin of forearm from the elbow to the wrist joint. Ref: guyton and hall textbook of medical physiology 12 edition page number:671,672,673